A 55 year old chronic alcoholic male was brought to OPD with tremors and sweating. He is found to have irrelavent talks since 3days. What is the most likely diagnosis?
1. Alcohol discontinuation syndrome
2. Delirium tremens
3. Korsokoff's psychosis
4. Alcohol toxicity

Correct answer: 2. Delirium tremens

Explanation: History of irrilevant talks suggests about disturbance in consciousness and along with it tremors.
Sweating (indicating autonomic hyperactivity) suggest of Delirium tremens.
Seen after 48-72 hours of alcohol withdrawl.